Gynaecomastia may be seen in patient with all except?
1. Climetidine therapy
2. Cirrhosis of liver
3. Klinefelter's syndrome
4. Turner's syndrome

Correct answer: 4. Turner's syndrome

Explanation: Ans. is 'd' i.e. Turner's syndrome